A lady presented with carcinoma endometrium involving >50% of myometrium extending to vagina and positive peritoneal cytology but no involvement of para aortic and pre aortic nodes. What is the stage of disease
1. Ill A
2. Ill C2
3. Ill C1
4. Ill B

Correct answer: 4. Ill B

Explanation: Endometrial cancer stage III:
Stage IIIA: Involvement of uterine serosa and/ or adnexa
Stage IIIB: Involvement of vagina and/or parametrium
Stage IIIC:

IIIC1: Positive Pelvic nodes
IIIC2: Positive Paraaortic nodes with or without positive pelvic nodes

​Positive peritoneal cytology doesn't alter the stage